Normal pregnancy can be continued in :
1. Primary pulmonary hypertension
2. Wolf-Parkinson-White syndrome
3. Eisenmenger syndrome
4. Marfan syndfome with dilated aortic root

Correct answer: 2. Wolf-Parkinson-White syndrome

Explanation: Ans. is b i.e. Wolf Parkinson white syndrome